Adrenal insufficiency causes:
1. A rise in plasma sodium/potassium ratio
2. Low blood pressure
3. Increase breakdown of protein
4. All

Correct answer: 2. Low blood pressure

Explanation: Ans. B: Low blood pressure Features of an acute adrenal crisis include circulatory shock with severe hypotension, hyponatremia, hyperkalemia and, in some instances hypoglycemia and hypercalcemia.